Which of the following is an important mediator of vasodilation?
1. Nitric oxide
2. Oxygen
3. Leukotriene
4. All of the above

Correct answer: 1. Nitric oxide

Explanation: Vasodilation is induced by the action of several mediators, notably histamine and nitric oxide (NO), on vascular smooth muscle. Ref: Robbins 8th edition, Chapter 2.